Immune tolerance can be induced by-
1. Excess antigen
2. Excess antibody
3. Excess complement level
4. Neonatal thymectomy

Correct answer: 1. Excess antigen